In leprosy which of the following is not seen – a) Abnormal EMGb) Voluntary muscle wastingc) Decreased proprioceptiond) Decreased response to tactile sensatione) Increased response to tactile sensation
1. a
2. ce
3. ac
4. ae

Correct answer: 2. ce

Explanation: Muscle deficit (voluntary muscle wasting) results in abnormal EMG.
There is decreased response to tactile stimulation (not increased).
Proprioception and vibration is not affected as leprosy spares posterior column